All are used for carcinoma head & neck except-
1. 5FU
2. Busulfan
3. Cisplatin
4. Methotrexate

Correct answer: 2. Busulfan

Explanation: Ans. is 'b' i.e., Busulfan o Important anticancer drugs used in head and neck cancers are Methotrexate 5-FU Bleomycin Cisplatin Docetaxel Cetuximab